According to RNTPC, case defination on sputum examination -
1. 1 sample positive out of three samples
2. At least two samples positive out of two samples
3. Any of the two or both samples are positive out of two
4. 2 or 3 samples positive out of three

Correct answer: 3. Any of the two or both samples are positive out of two

Explanation: Ans. is 'c' i.e., Any of the two or both samples are positive out of two Two sputum smear samples are examined. If any of the two samples or both the samples are positive, the diagnosis of smear-positive TB is confirmed.